Drug used in case of Herpetic lesions
1. Acyclovir
2. Penicillin
3. Tetracycline
4. Ciprofloxacin

Correct answer: 1. Acyclovir